All are anti craving agent for alcohol except:
1. Lorazepam
2. Naltrexone
3. Topiramate
4. Acamprosate

Correct answer: 1. Lorazepam

Explanation: A. i.e. Lorazepam